Which is cyclopropagative?
1. Malaria
2. Plague
3. Filaria
4. None

Correct answer: 1. Malaria

Explanation: (A) propagative: The agent merely multiplies in the vector but no change in the form e.g plague bacilli in rat fleas (B) cyclopropagative : The agent changes in number and form e.g malaria parasite in mosquito (C) cyclodevelopmental: The disease agent undergoes only developmental but no multiplication e.g microfilaria in mosquito (refer pgno:98 park 23 rd edition)